Ramu age 10 years, present with itching in his eye, foreign body sensation and ropy discharge since several months. These symptoms are more prominent in summer. Most probable diagnosis is -
1. Vernal conjunctivitis
2. Fungal keratoconjunctivitis
3. Viral conjunctivitis
4. Trachoma

Correct answer: 1. Vernal conjunctivitis

Explanation: Ans. (a) Vernal conjunctivitisRef: Parson's 21/e, p. 178Age 10 years (Male child), with Itching, foreign body sensation, Ropy discharge (characteristic of spring catarrh) and exacerbation during summer (characteristic of spring catarrh) is diagnostic for VKC.